Polypeptide chain termination is enhanced by
1. Stop codon
2. Peptidyl transferase
3. UAA
4. All of these

Correct answer: 4. All of these

Explanation: Termination requires stop codon (UAA, UAG, UGA) and releasing factors .
Peptidyl transferase is also required which along with releasing factor hydrolyses peptide bond between tRNA at 'P' site and promotes the release of a newly synthesized polypeptide chain from ‘P’ site.